ST depression and T wave inversion in V1 to V6 and aVL leads indicate -
1. Antero lateral wall AMI
2. Posterior wall AMI
3. Inferior AMI
4. Lateral wall AMI

Correct answer: 1. Antero lateral wall AMI